Which of the following tongue muscle is supplied by the Cranial root of accessory nerve?
1. Palatoglossus
2. Hyoglossus
3. Styloglossus
4. Genioglossus

Correct answer: 1. Palatoglossus

Explanation: Tongue muscles develop from occipital myotomes, so the cranial nerve XII (hypoglossal nerve) supplies all intrinsic and three extrinsic muscles. Only palatoglossus is supplied by the cranial root of accessory through pharyngeal plexus and is developed from mesoderm of the sixth arch.Ref: Chaurasia; Volume 3; 6th edition; Page no: 253